Schwangershaft protein is the other name of :
1. hCG
2. Papp-1
3. Pregnancy specific beta1 glycoprotein
4. Activin

Correct answer: 3. Pregnancy specific beta1 glycoprotein

Explanation: PREGNANCY SPECIFIC b-1 GLYCOPROTEIN (PS b-1 G): It is produced by the trophoblast cells. It can be detected in the maternal serum 18-20 days after ovulation. PS b-1 G is a potent immunosuppressor of lymphocyte proliferation and prevents rejection of the conceptus. Reference: Dutta's Textbook of Obstetrics 7th edition page 61